Most important triad of symptoms in portal hypertension is:
1. Splenomegaly, Hepatomegaly and Ascites
2. Splenomegaly, Oesophageal varices and Ascites
3. Piles, splenomegaly and general Anasarca
4. Oesophageal varices, piles and General Anasarca

Correct answer: 2. Splenomegaly, Oesophageal varices and Ascites